All of the following have autosomal dominant pattern of inheritance except:
1. Huntington's chorea
2. Hemophilia A
3. Tuberosis sclerosis
4. Marfan's syndrome

Correct answer: 2. Hemophilia A

Explanation: Ans. B. Hemophilia AHemophilia A is inherited as X linked recessive. Hemophilia A and hemophilia B are inherited in an X-linked recessive pattern. The genes associated with these conditions are located on the X chromosome, which is one of the two sex chromosomes. In males (who have only one X chromosome), one altered copy of the gene in each cell is sufficient to cause the condition.* Other conditions with autosomal dominant patter of inheritance include:Von Willebrand disease, Pseudo hypoparathyroidism, Osteogenesis imperfect, Marfan syndrome, Neurofibromatosis, Hereditary non polyposis coli.